Hinge fracture is seen in
1. Vault
2. Ant cranial fossa
3. Middle cranial fossa
4. Posterior cranial fossa

Correct answer: 3. Middle cranial fossa

Explanation: Skull base fractures Anteruor cranial fossa Subconjunctival hematoma CSF Rhinorrhea Carotico-cavernous fistula Periorbital hematoma or "Raccoon eyes" Middle cranial fossa fracture CSF otorrhea Hemotympanum Ossicular disruption Battle sign : Bruising behind the ear 7th and 8th cranial nerve palsies Ref: Bailey and love 27th edition Pgno : 333